Cell-Fraction derived vaccine is -
1. Hepatitis-B
2. Measles
3. Mumps
4. Rubella

Correct answer: 1. Hepatitis-B

Explanation: Ans. is 'a' i.e., Hepatitis B